A first-grade teacher is concerned about a 6- year old girl in her class who has not spoken a single word since school started. The little girl participates appropriately in the class activities and uses gestures, drawings, nods and shakes her head to communicate. The parents report that the little girl talks only in the home and only in the presence of her closest relatives. Which of the following is the most appropriate diagnosis?
1. Autism
2. Expressive language disorder
3. School phobia
4. Selective mutism

Correct answer: 4. Selective mutism

Explanation: Ans.D. Selective mutismIn selective mutism, a child voluntarily abstains from talking in particular situations (usually at school) while remaining appropriately verbal at home. Some children only speak with their parents and siblings and are mute with relatives and friends.Children with selective mutism do not have a language impediment, nor do they display the lack of social interactions, lack of imagination, and behavior characteristics of autism. On the contrary, they can be quite interactive and communicative in a nonverbal way, using drawing, writing, and pantomime.Children with school phobia refuse to go to school but do not have problems communicating through language. The oppositional defiant disorder is characterized by persistent refusal to follow rules and defiance toward authorities, not by failure to speak.